Akathisia is seen with the use of:
1. Clozapine
2. Propranolol
3. Benztropine
4. Haloperidol

Correct answer: 4. Haloperidol